A patient with Hypertension presents with Hypokalemia. Aldosterone levels and Renin levels are both elevated. The most likely diagnosis is:
1. Renal ArteryStenosis
2. Primary Hyperaldosteronism (Conn's Syndrome)
3. Addison's Disease
4. Cushing's Syndrome

Correct answer: 1. Renal ArteryStenosis

Explanation: Answer is A (Renal Artery Stenosis) The association of High aldosterone and High Renin levels in a hypertensive patient with hypokalemia suggests a diagnosis of Secondary Hyperaldosteronism from Renal Artery Stenosis. Disease Aldosterone Cortisol Renin Primary Aldosteronism (Conn syndrome) High Normal Low Secondary Aldosteronism (e.g. Renal Artery Stenosis) High Normal High Adrenal insufficiency (Addison disease) Low Low High Cushing syndrome Low (May be normal) High Low